A 3 month old child presents with intermittent stridor which reduces on lying prone. The most likely diagnosis is:
1. Laryngomalacia
2. Laryngotracheobronchitis
3. Vocal nodule
4. Foreign body

Correct answer: 1. Laryngomalacia

Explanation: Ans. A. LaryngomalaciaLaryngomalacia is a congenital softening of the tissues of the larynx (voice box) above the vocal cords. This is the most common cause of noisy breathing in infancy. The laryngeal structure is malformed and floppy, causing the tissues to fall over the airway opening and partially block it. It is the most common congenital lesion of the larynx. The epiglottis is found to be omega shaped. Stridor typically start at age 4-6 weeks, but they may begin in the nursery or as late as age 2-3 months and more than 90% of cases, the only treatment necessary for laryngomalacia is time. The lesion gradually improves, and noises disappear by age 2 years in virtually all infants.